Thyroid carcinoma with pulsating vascular skeletal metastasis is
1. Follicular
2. Anaplastic
3. Medullary
4. Papillary

Correct answer: 1. Follicular

Explanation: In Follicular carcinoma the Blood-borne metastases are more common and the eventual mortality rate is twice that of pappillary cancer. bone secondaries are typically vascular ,warm pulsatile, localised,commonly in skull,longbones, ribst. ref ;(page no;794)25th edition of Bailey and love's short practice of surgery